Most common Tumor seen in liver found incidentally in healthy individual is
1. Hemangioma
2. Adenoma
3. Lymphoma
4. Hamartoma

Correct answer: 1. Hemangioma

Explanation: Ans. (a) HemangiomaRef: Bailey And Love 27th edition Page 1172* MC tumor identified in USG in Liver is Hemangioma* Diagnosis is usually incidental and surgical resection is recommended only for significantly symptomatic cases.